The laryngeal mask airway used for securing the airway of a patient in all of the following conditions except
1. In a difficult intubaton
2. In cardiopulmonary resuscitation
3. In a child undergoing an elective \/ routine eye sugery
4. In a patient with a large tumour in the oral cavity

Correct answer: 4. In a patient with a large tumour in the oral cavity

Explanation: LMA does not prevent Aspiration of gastric contents.also not used in pregnancy , oropharyngeal mass, obesity